In canine protected occlusion, the reason of choosing canine is/are
1. Long roots
2. Good crown to root ratio
3. Surrounded by dense compact bone which tolerates forces better
4. All of the above

Correct answer: 4. All of the above

Explanation: The canine is chosen because of its 

Long roots
Good crown to root ratio
Surrounded by dense compact bone which tolerates forces better. 
Location is far from the TMJ thus receiving less stress.